Which of the following is NOT a complication associated with Parotidectomy?
1. Sialocele
2. Flap necrosis
3. Frey's syndrome
4. Osteoradionecrosis of mandible

Correct answer: 4. Osteoradionecrosis of mandible

Explanation: Osteoradionecrosis of mandible- Complication of radiation